Most common cause of pyomyositis is?
1. Streptococcus pyogenes
2. Pseudomonas
3. Staphylococcus Aureus
4. E. Coli

Correct answer: 3. Staphylococcus Aureus

Explanation: ANSWER: (C) Staphylococcus AureusREF: Staphylococci in Human Disease Kent B. Crossley, Gordon Archer, Kimberly Jefferson Page 383, http://en.wikipedia.org/wiki/PyomyositisPyomyositis, also known as tropical pyomyositis or myositis tropicans, is a bacterial infection of the skeletal muscles wrhich results in a pus-filled abscessPyomyositis is most often caused by the bacterium Staphylococcus aureus. The infection can affect any skeletal muscle, but most often infects the large muscle groups such as the quadriceps or gluteal muscles